Sytemic infection is caused by all fungi except -
1. Cryptococcus
2. Histoplasma
3. Dermatophytes
4. Paracoccidioides

Correct answer: 3. Dermatophytes